drug transport mechanisms include
1. passive transport
2. lipid solubility
3. bioavavailability
4. distribution

Correct answer: 1. passive transport

Explanation: Ref-KDT 7/e p11-13 drugs are transported across the membrane by passive diffusion and filtration specialized transport